Rectified spirit is NOT used as preservative in case of:
1. Phenol
2. Cyanide
3. Insecticides
4. Alphos

Correct answer: 1. Phenol

Explanation: Ans. Phenol